With chronic use in seizure state, the adverse effects of this drug include coarsening of facial features,hirsutism, gingival hyperplasia and osteomalacia:
1. Carbomazepine
2. Ethosuximide
3. Gabapentin
4. Phenytoin

Correct answer: 4. Phenytoin